Most common nerve used for monitoring during anesthesia :
1. A. Ulnar nerve
2. B. Facial nerve
3. C. Radial nerve
4. D. Median nerve

Correct answer: 1. A. Ulnar nerve

Explanation: Most common nerve used in neuromuscular monitoring is Ulnar nerve stimulation (recording contractile responses of thumb muscle, adductor pollicis) Second most common nerve used for monitoring is facial nerve (orbicularis oculi)